A 36 years old obese man was suffering from hypertension and snoring. Patient was a known smoker. In Sleep test, there were 5 apnea/hyperapneas episodes per hour. He was given antihypertensives and advised to quit smoking. Next line of management:
1. Uvulopalatopharyngeoplasty
2. Weight reduction and diet plan
3. Nasal CPAP
4. Mandibular repositioning sling

Correct answer: 2. Weight reduction and diet plan

Explanation: The primary treatments of obstructive sleep apnea are: weight loss in those who are overweight, continuous positive airway pressure, and mandibular advancement devices. There is little evidence to support the use of medications or surgery. Continuous positive airway pressure (CPAP) is effective for both moderate and severe disease. It is the most common treatment for obstructive sleep apnea. Adherence to CPAP is generally better than that to an MRS, and there is evidence that CPAP improves driving, whereas there are no such data on MRSs. Thus, CPAP is the current treatment of choice (for both moderate and severe disease). However, MRSs are evidence-based second-line therapy in those who fail CPAP.- Harrison 18/p2189 There is no proven evidence that pharyngel surgery, including uvulopalatopharyngoplasty (whether by scalpel, laser or thermal techniques) helps OSAHS patients.